About measles true is ?
1. Incubation period is 5 days
2. Otitis media is the most common complication
3. Caused by orthomyxovirus
4. Large number of carriers

Correct answer: 2. Otitis media is the most common complication

Explanation: Ans. is 'b' i.e., Otitis media is the most common complication Measles is caused by a RNA virus of paramyxovirus family. The only source of infection is a case of measles, carriers are not known to occur.